Maximum pressure in left ventricle seen is -
1. 2 mm Hg
2. 25 mm Hg
3. 80 mm Hg
4. 120 mm Hg

Correct answer: 4. 120 mm Hg

Explanation: Ans. is 'd' i.e., 120 mm Hg Pressures in various nordons of CVSo Right ventricleo Left ventricleo Right atriumo Left atriumo Aortao Pulmonary artery------25/0 mm Hg (systolic/diastolic)120/0 mm Hg2 mm Hg5 mm Hg120/80 mm Hg25/8 mm Hg